All of the following statements about pseudohypoparathyroidtom are true, except -
1. Decrease Serum PTH
2. Decrease Serum calcium
3. Increase Serum phosphate
4. Albright's hereditary osteodystrophy

Correct answer: 1. Decrease Serum PTH

Explanation: Answer is option 1 Increase in serum PTH Pseudohypoparathyroidtom leads to end organ resistance to parathormone which in turn leads to decrease in serum Ca++ and increase in serum phosphate. Due to this negative feedback hyperplasia of parathyroid occurs and increase in parathormone secretion occurs Ref Harrison 17/e p2394